Maximum predisposition to tuberculosis is seen in a which pneumoconiosis -
1. Silicosis
2. Anthracosis
3. Byssinosis
4. Bagassosis

Correct answer: 1. Silicosis

Explanation: Ans. is 'a' i.e., Silicosis "Silicosis is progressive and what is more important is that silicotics are prone to pulmonary tuberculosis, a condition caled silico-tuberculosis"---- Park